True about CSF finding in pyogenic meningitis is -
1. CSF contains no organisms
2. ↓Chloride ↓ glucose
3. ↑T Glucose ↑protein
4. ↑ Chloride,↓ glucose

Correct answer: 2. ↓Chloride ↓ glucose